Lacunar cells are variants of Reed-Sternberg cells that are specifically found in
1. Lymphocyte-predominate Hodgkin's disease
2. Lymphocyte-depleted Hodgkin's disease
3. Mixed-cellularity Hodgkin's disease
4. Nodular sclerosis Hodgkin's disease

Correct answer: 4. Nodular sclerosis Hodgkin's disease

Explanation: Hodgkin's disease is broadly divided into four histologic subtypes, the most common of which is the nodular sclerosis variant. This type is characterized morphologically by the presence of the lacunar variant of Reed-Sternberg (RS) cells and by bands of fibrous tissue that divide the lymph node into nodules. Unlike the other subtypes of Hodgkin's disease, it is more common in females. Young adults are classically affected and the disease typically involves the cervical, supraclavicular, or mediastinal lymph nodes. Involvement of extranodal lymphoid tissue is unusual. Variant RS cells with a multilobed, puffy nucleus ("popcorn" cells) are seen in the lymphocyte-predominant subtype. Reference: Robbins & Cotran Pathologic Basis of Disease, 9edition.